All of the following are true about Raynaud's disease, except:
1. More, common in females
2. Positive Antinuclear Antibodies
3. Most common cause of Raynaud's phenomenon
4. Has good prognosis

Correct answer: 2. Positive Antinuclear Antibodies

Explanation: Raynaud's disease is not associated with anti nuclear antibodies (ANA's). ANA's are seen in sjogren's syndrome, rheumatoid arthritis, autoimmune hepatitis, scleroderma, polymyositis & dermatomyositis. Ref: CMDT 2006 Edition, Page 464-465; Harrison's Principles of Internal Medicine, 16th Edition, Page 1489.